The drug of choice in Herpes Simplex Encephalitis is:
1. Acyclovir
2. Zidovudin
3. Amantadine
4. Vidarabine

Correct answer: 1. Acyclovir

Explanation: Answer is A (Acyclovir): The drug of choice in Herplex Simplex encephalitis is Acyclovir.